Cadaveric lividity is same as?
1. Postmortem calorcity
2. Rigor mortis
3. Algor mortis
4. Postmortem staining

Correct answer: 4. Postmortem staining

Explanation: Synonyms of Postmortem staining : 1) Livor Mortis 2) Lividity 3) Hypostasis 4) Vibices 5) Cadaveric lividity 6) Suggilation